Which of the following is not true about jeffersons fracture?
1. It is a burst fracture of the ring of atlas vertebra
2. It is the most common type of atlas fracture
3. Fracture definition is particularly clear on CT scan image
4. It is associated with injury elsewhere in spine in 25% of the cases.

Correct answer: 4. It is associated with injury elsewhere in spine in 25% of the cases.

Explanation: * Fracture of atlas are associated with injury elsewhere in cervical spine in upto 50% of cases; odontoid fractures and hangman's fracture in particular should be excluded. *Other optionsare correct. Ref: Maheshwari 9th/e p.272